All of the following is included in chest wall except?
1. Ribs
2. Thoracic Vertebrae
3. Sternum
4. Lumbar vertebrae

Correct answer: 4. Lumbar vertebrae

Explanation: Ans. is 'd' i.e., Lumbar vertebrae Contents Of Chest Wall1. Bony thoracic cage* Ribs* Sternum* Thoracic Vertebrae2. Muscles of the thorax* Diaphragm* Intercostal muscles